National health policy which started before 1960 is/are -
1. National Filaria Control Programme
2. National Malaria Control Programme
3. National Leprosy Control Programme
4. All

Correct answer: 4. All

Explanation: Ans. is 'a' National Filaria Control Programme; 'b' i.e., National Malaria Control Programme; `c' i.e., National Leprosy Control Programme "National Malaria Control Progrmme began in 1953, but in 1958 converted to National Malaria Eradication Programme" - Park 2151/381 o "National Leprosy Control Programme has been in operation since 1955" - Park 21"/388 o "National Tuberculosis Program me (NTP), has been in operation since 1962. In 1992 it is changed to Revised National Tuberculosis Control Programme ( RNICP)"- Park 2 P'I390 "The National Filaria Control Programme has been in operation since 1955. In June 1978, the operational component of the NFCP was merged with Urban Malaria Scheme" - Park 21st/386. o "India commenced a Goitre Control Programme in 1962, based on iodized salt"